A young female presents with chest pain not associated with exercise. Auscultation reveals multiple ejection clicks with a murmur. The most important investigation for diagnosis is:
1. ECG
2. Thallium 201 scan
3. Tc pyrophosphate scan
4. Echocardiography

Correct answer: 4. Echocardiography

Explanation: Ans. Echocardiography